Which of the following drug is given for pulmonary hypertension?
1. Carboprost
2. Mispoprostol
3. Indomethacin
4. Bosentan

Correct answer: 4. Bosentan

Explanation: Endothelin Antagonists (DOC) - Bosentan - Ambresenton - Macisentan If these are not effective then drugs used are Phosphodiesterase inhibitors like sildenafil and tadalafil. Prostaglandins - Iloprost (Not given orally) Selexipag (Prostacyclin Agonist) - PGI2 Agonist - Given orally